Blalock and Taussig shunt is done between:
1. Aorta to pulmonary artery
2. Aorta to pulmonary vein
3. Subclavian artery to pulmonary artery
4. Subclavian vien to artery

Correct answer: 3. Subclavian artery to pulmonary artery

Explanation: Blalock Taussig shunt is done between subclavian artery and pulmonary artery. It is a palliative surgical procedure done in patients with TOF. In this procedure, a systemic artery is anastomosed with pulmonary artery, which inturn increase the pulmonary blood flow and increase the amount of oxygenated blood reaching the systemic circulation. Ref: Essential Pediatrics, 6th Edition By O P Ghai, Page 409.